All opens into coronary sinus except -
1. Middle cardiac vein
2. Small cardiac vein
3. Anterior cardiac vein
4. Great cardiac vein

Correct answer: 3. Anterior cardiac vein

Explanation: Tributaries of the coronary sinus
-        Great cardiac vein
-        Middle cardiac vein
-        Small cardiac vein
-        Posterior vein of the left ventricle
-        Oblique vein of the left atrium
-        Right marginal vein sometimes.